Hemopericardium is seen in ?
1. Chest injury
2. MI
3. Ruptured Aortic aneurysm
4. All

Correct answer: 4. All

Explanation: Ans. is d i.e., All Hemopericardium o Hemopericardium is infiltration of blood into the pericardium. o Causes are - CI Tubercular pericarditis Rupture of an aneurysm of aorta or coronary arteries. Neoplasm Trauma, e.g. bullet wounds, fracture of ribs or sternum. Rupture of myocardium as a complication of MI.